True about total fertility rate -a) Average number of children born to a women during reproductive periodb) Average number of daughters born to a motherc) Magnitude of completed family size.d) Average number of live birth in year per 100 womene) Sum of age specific fertility rates
1. acd
2. ace
3. cde
4. ade

Correct answer: 2. ace